Swelling in testes, investigation of choice -
1. FNAC
2. CECT
3. USG
4. MRI

Correct answer: 3. USG

Explanation: Answer- C. USGUSG sctotum is donefor any suspecled testicular tumor.If a testicular mass found on USG then high inguinal orchiectomy done to remove the primary as well as know about the histologly of the tumor.